Superior vena cava opens into right atrium at the level of
1. T1
2. T3
3. T4
4. T5

Correct answer: 4. T5

Explanation: SVC open into right atrium at the level of T5 . Ref - BDC 6th edition vol 1 pg272